Bouquet of Flowers appearance is seen in?
1. ADPKD
2. ARPKD
3. Horse Shoe Kidney
4. Medullary sponge kidney

Correct answer: 4. Medullary sponge kidney

Explanation: Medullary sponge kidney: Shows Bouquet of Flowers appearance in IVP Autosomal dominant polycystic kidney disease Swiss cheese appearance on nephrogram Spider leg appearance on pyelogram Autosomal recessive polycystic kidney disease Shows striated nephrogram